26 years old Ramesh, who is a painter visits infertility clinic with his wife as they couldn't conceive even after trying from last 2 years. His semen analysis showed oligospermia. Which of the following metal can be obtained from his blood sample?
1. Cadmium
2. Lead
3. Mercury
4. Nickle

Correct answer: 2. Lead

Explanation: People can be exposed to lead mainly from Inhalation of lead particles generated by burning materials containing lead. Eg: during smelting, recycling, stripping leaded paint & using leaded gasoline or leaded aviation fuel. Exposure to lead based paints. (c) Ingestion of lead-contaminated dust, water (from leaded pipes), food (from lead-glazed or lead soldered containers). (d) Use of some traditional cosmetics & medicines. Lead exposure can cause anemia, hypertension, renal impairment, immunotoxicity & toxicity to reproductive organs. In given case scenario, as the person is working in fuel industry, he would have occupational exposure to lead, which damages testes, resulting in oligospermia. Thus, Lead can be obtained from his blood & urine samples.